4-8 experts, discussing a given problem in front of audience -
1. Symposium
2. Panel discussion
3. Workshop
4. Group Discussion

Correct answer: 2. Panel discussion

Explanation: Ans. is 'b' i.e., Panel Discussion Panel discussiono It is a two way communication.o 4-8 persons who are qualified to talk about a topic and discuss a given problem in front of a large group or audience.o The panel comprises a chairman.o The chairman opens the meeting, welcomes the group and introduces the panel speakerso He indroduces topic briefly and invite the panel speakers to present their point of viewo After the main aspects of subject are explored by panel speakers, the audience is invited to take parto If members of the panel are unacquainted with this method, they may have a preliminary meeting, prepare the material on the subject and decide upon the method and plan of presentation.